Not a feature of traumatic optic neuropathy:
1. RAPD
2. Dilatation of pupil
3. Centrocecal scotoma
4. Macular edema

Correct answer: 4. Macular edema

Explanation: Macular edema is not a characteristic feature of traumatic optic neurpathy. Traumatic Optic Neuropathy Loss of vision. Dilatation of pupil. Impaired Pupillary light reflex. Contrast sensitivity is decreased. Central or centrocecal scotoma (though less common, it can be seen in traumatic optic neuropathy) MRI is the investigation of choice for visualization of optic nerve. Treatment -Steroids/ Surgical decompression.